Which of the following drug should not be used to treat Klebisella infection?
1. Ampicillin
2. Amikacin
3. Imipenem
4. Tigecycline

Correct answer: 1. Ampicillin

Explanation: Ans. is 'a' i.e. Ampicillin Treatment of Klebsiella infection o Klebsiella pneumoniae and K.oxytoca are intrinsically resistant to ampicillin and ticarcillin, and nitrofurantoin is only poorly active against them. o Empirical treatment of serious or health care-associated Klebsiella infections include amikacin, or Carbapenem (Imipenem). (According to 17th/e of Harrison, Tigecyclin was also used as empirical treatment). o Treatment of infections due to strain that possess carbapenemases includes Tigecyclin, Polymyxin B, and poly? myxin E (Colistin) (This information has been added in 18th/e of Harrison)